Complication of kerosene poisoning is:
1. Paralysis
2. Delirium
3. Hemoptysis
4. Aspiration pneumonia

Correct answer: 4. Aspiration pneumonia

Explanation: Ans. Aspiration pneumonia